Treatment of choice for cheese reaction -
1. Prazocin
2. Pentazocin
3. Phentolamine
4. Phenoxybenzamine

Correct answer: 3. Phentolamine

Explanation: Ans. is 'c' i.e., Phentolamine Cheese reactiono Certain varieties of cheese, beer, wines, picked meat and fish, yeast extract contain large quantities of tyramine, dopa.o in MAO inhibited patients these indirectly acting sympathomimetic amines escape degradation in the intestinal wall and liver - reaching into systemic circulation they displace large amount of NA from adrenergic nerve endings - Hypertensive crisis, cerebrovascular accidents,o This can be treated by Lv. injection of a rapidly acting phentolamine. Prazosin and chlorpromazine are alternative.